Change in event with respect to time is best depicted by?
1. Bar diagram
2. Line diagram
3. Pie chart
4. Dot diagram

Correct answer: 2. Line diagram